Honey comb liver is seen in -
1. Micronodular cirrhosis
2. Dubin Johnson's syndrome
3. Actinomycosis
4. Hydatidosis

Correct answer: 3. Actinomycosis

Explanation: • Most commonly, Actinomyces reaches liver through portal vein.
• Liver is gradually replaced by multiple abscesses, typical honey comb liver
Diagnosis
• Needle aspiration: Actinomyces in pus
Treatment
• Antibiotic (Penicillin) is the DOC.